Earliest field defect in primary open angle glaucoma –
1. Riedel's scotoma
2. Scotoma in Bjerrums field
3. Arcuate scotoma
4. Nasal spur

Correct answer: 2. Scotoma in Bjerrums field

Explanation: Paracentral scotoma appears either below or above the blind spot in Bjerrum's area.